Stye is suppurative inammation of glands of
1. Zeis
2. Meibonia
3. Wolfring
4. All the above

Correct answer: 1. Zeis